Which of the following diuretic is contraindicated in Hepatic coma?
1. Flurosemide
2. Bumetanide
3. Acetazolamide
4. Spironolactone

Correct answer: 3. Acetazolamide

Explanation: Acetazolamide is a carbonic anhydrase inhibitor contraindicated in hepatic coma, as it leads to ammonia retention.